Red man syndrome is caused by which drug:
1. Linezolid
2. Clindamycin
3. Vancomycin
4. Teicoplanin

Correct answer: 3. Vancomycin

Explanation: Vancomycin is a glycopeptide antibiotic that releases histamine leading to "Red man syndrome"